Apolipoprotein of chylomicron is:
1. Apo B100
2. Apo B48
3. Apo E
4. Apo AI

Correct answer: 2. Apo B48

Explanation: Ans. B. Apo B48(Ref: Harper 31/e page 238)Apo B48 is found exclusively in chylomicron.The only one apolipoprotein in LDL is apo B100.